All of the following are categorised as secondary lymphoid organs except -
1. Lymph nodes
2. Spleen
3. Thymus
4. Subepithelial collections of lymphocytes

Correct answer: 3. Thymus